Cystic fibrosis is associated with all except -
1. Infertility
2. Azoospermia
3. Nasal polyps
4. Renal failure

Correct answer: 4. Renal failure

Explanation: Ref:Textbook of pathology (harsh mohan)6th edition, page no.645 Cystic Fibrosis Cystic fibrosis of the pancreas or fibrocystic disease is a hereditary disorder characterised by viscid mucous secretions in all the exocrine glands of the body (mucoviscidosis) and associated with increased concentrations of electrolytes in the eccrine glands. The terms 'cystic fibrosis' and 'fibrocystic disease' are preferable over 'mucoviscidosis' in view of the main pathologic change of fibrosis produced as a result of obstruction of the passages by viscid mucous secretions. The disease is transmitted as an autosomal recessive trait with apparent clinical features in homozygotes only. The defect is a genetic mutation in CFTR gene, acronym for coding protein for cystic fibrosis transmembrane conductance regulator located on chromosome 7. It is quite common in the whites (1 per 2000 livebirths). The clinical manifestations may appear at birth or later in adolescence and pertain to multiple organs and systems such as pancreatic insufficiency, intestinal obstruction, steatorrhoea, malnutrition,azoospermia,nasal polyps, hepatic cirrhosis and respiratory complications